Chylothorax means pleural cavity containing
1. Lymph
2. Blood
3. Air
4. Pus

Correct answer: 1. Lymph

Explanation: (A) Lymph # CHYLOTHORAX OR CHYLE LEAK is a type of pleural effusion &results from lymph formed in the digestive system called chyle accumulating in the pleural cavity due to either disruption or obstruction of the thoracic duct.> Causes: It is rare but serious, and It results from leakage of lymph fluid from the thoracic duct (or one of its tributaries). This can result from direct laceration (e.g., from surgery) or from nontraumatic causes. The most common nontraumatic cause is malignancy, especially lymphoma. Less common is left-heart failure, infections, and developmental abnormalities such as Down syndrome and Noonan syndrome.> Treatment of Chylothorax: Drainage of the fluid out of the pleural space is essential to obviate damage to organs, especially the inhibition of lung function by the counter pressure of the chyle. Pleuroperitoneal shunting (creating a communication channel between pleural space and peritoneal cavity). Loss of essential triglycerides that escape the thoracic duct can be prevented. Omitting fat (in particular FFA) from the diet is essential. Surgical or chemical pleurodesis: leaking of lymphatic fluids is stopped by irritating the lungs and chest wall, resulting in a sterile inflammation. Llung and the chest wall to be fused together which prevents the leaking of lymphatic fluids into the pleural space. Octreotide has been shown to be beneficial and in some cases will stop the chylothorax after a few weeks.